Most preferable contraceptive device for a female suffering from Rheumatic Heart Disease who has completed her family is
1. IUCD
2. Tubal ligation
3. Norplant
4. Barrier method

Correct answer: 2. Tubal ligation

Explanation: Tubal ligation under local anaesthesia by minilap technique is the procedure of choice for permanent sterilization in a female with RHD who has completed her family. The best time for the procedure is at the end of the first week in the puerperium when the heart is well compensated. REF Katzung 12th ed.